No. of branches of the internal carotid artery in the neck is:
1. 1
2. 2
3. 3
4. None

Correct answer: 4. None

Explanation: D i.e. None